A patient with recent loss of hypertension control and creatinine- 4.2 mg/dL. Renal USG shows size discrepancy in kidneys and no sign of obstruction .What should be the next investigation ?
1. IVP
2. MR angiography
3. Retrograde pyelography
4. Ultasound Doppler

Correct answer: 4. Ultasound Doppler

Explanation: As patient has history of loss of control of hypertension and raised creatinine , Renal USG is warranted . USG findings and clinical history raise suspicion of Renovascular hypertension . Next Investigation of choice is Ultrasound Doppler as it confirms diagnosis of Renovascular hypertension in vasculature .